AFP is elevated in
1. HCC
2. Infant hemangioendothelioma
3. Amoebic liver abscess
4. Embryonic sarcoma

Correct answer: 1. HCC